Patients of eclampsia on Magnesium sulphate regime are monitored for all the following except:
1. Respiratory rate
2. Urine output
3. Knee reflex
4. Serum Na+ and K+ levels

Correct answer: 4. Serum Na+ and K+ levels

Explanation: Ans. D. Serum Na+ and K+ levelsMagnesium sulphate is drug of choice for eclampsia. It has no detrimental effects on neonate within therapeutic level.It reduces motor end plate sensitivity to acetyl choline.It induces cerebral vasodilatation, dilates uterine arteries increases production of endothelial prostacyclin and inhibits platelet activation.RegimenLoading doseMaintenance dosePritchard4gm IV over 3-4 min, 10mg deep IM5gm IM in alternate buttockZuspan4gm IV over 5-10min1-2gm/hour IV infusionSibai6gm IV over 20min2gm/hour IV infusionRepeat injections are given only if knee jerks are present, urine output exceeds 30ml/hour, and respiration rate is more than 12/min. The therapeutic level of serum magnesium is 4--7mEq/L.